Most common presenting feature of adult hypopituitarism is
1. Hypothyroidism
2. Hypogonadism
3. Addison’s disease
4. Hyperprolactinemia

Correct answer: 2. Hypogonadism

Explanation: In adults decreased pituitary function is first shown by hypogonadism.